Knudson's hypothesis is applied for:
1. Glaucoma
2. Retinoblastoma
3. Cataract
4. Melanoma

Correct answer: 2. Retinoblastoma

Explanation: Ans. Retinoblastoma